Amount of squint is different in different directions. This type of squint is called
1. Comitant squint
2. Incomitant squint
3. Intermittent squint
4. Alternate squint

Correct answer: 2. Incomitant squint

Explanation: Incomitant Squint: Amount of squint is different in different directions Comitant Vs Incomitant Squint Comitant squint means the amount of deviation is equal in all directions of gaze. E.g esotropia, alternate divergent squint Incomitant squint: Amount of deviation is different in different gazes. E.g Contracture of muscle, paralytic squint